Fluoroscein dye study is done to detect -
1. Assess retinal function of babies
2. Retinal vascular pathology'
3. Macular pathology
4. Posterior segment of eye

Correct answer: 2. Retinal vascular pathology'

Explanation: Ans. is 'b' i.e., Retinal vascular pathology Angiography for fundus examinationo Angiography is used for dynamic flow study of Iris, Retina or choroid. Following types of angiographies are used.Fluorescein Angiography Sodium fluorescein dye is used by injecting it into antecubital vein. It is primarily used for retinal vasculature, but iris & choroid can also be examined.Indocyanine green Angiography It is used primarily for choroidal vasculature, especially in choroidal neovascuiar membranes (CNVM). Therefore, it is used in - i) The identification and delineation of poorly defined or occult choroidal neovascularization, (ii) Retinal pigmented epithelium (RPE) detachments.